Investing layer of deep cervical fascia encloses all except
1. Sternocleidomastoid and trapezius
2. Two salivary glands
3. Axillary vessels
4. Two spaces

Correct answer: 3. Axillary vessels

Explanation: Axillary vessels are enclosed by prevertebral fascia.